Clergyman's knee involves -
1. Olecranon bursa
2. Suprapatellar bursa
3. Infrapatellar bursa
4. Prepatellar bursa

Correct answer: 3. Infrapatellar bursa

Explanation: Ans. is 'c' i.e., Infrapatellar bursa Prepatellar bursitisHousemaid's kneeInfrapatellar bursitisOlecranon bursitisIschial bursitisOn lateral malleolusOn great toeClergyman's kneeStudent's elbowWeaver's bottomTailor's ankleBunion